30 year old obese male patient presents with complete inguinal hernia and on examination doughy consistency is felt with dull note on percussion. This suggests that the contents of the hernia sac contain?
1. Omentum
2. Large intestine
3. Small intestine
4. Encysted ascitic fluid

Correct answer: 1. Omentum

Explanation: Ans. (a) OmentumRef: Long cases Surgery RRMExamination of Content of Hernia:* Elastic Consistency- Bowel* Doughy Consistency - Omentum